Localised langerhans cells histiocytosis affecting head & neck is ?
1. Letterer-siwe disease
2. Pulmonary langerhans cell histiocytosis
3. Hand-schuller-christian disease
4. Eosinophilic granuloma

Correct answer: 4. Eosinophilic granuloma

Explanation: Ans. is `d i.e., Eosinophilic granuloma Clinical manifestations of Langerhans cell histiocvtosis (Histocvtosis-X1 1.Letterer Siwe disease (multifocal, multisystem LCH) Most frequently present before 2 years of age. Characterized by involvement of multiple system. Most common presentation is cutaneous lesions resembling seborrheic dermatitis. Others are hepatosplenomegaly, lymphadenopathy pulmonary lesions and destructive bone lesions. Extensive bone marrow infiltration leads to pancytopenia. 2.Eosinophilic granuloma (Unifocal and multifocal unisystem LCH) Involvement is restricted to a single system i.e., skeletal system which may be unifocal or multifical. Most commonly effected bones are skull, vertebrae, ribs, clavicle, and femur. 3.Hand-Schuller-Christian disease Characterized by triad of claviral bone defects, diabetes insipidus, and exophthalmos.